All are features of absence seizures except –
1. Usually seen in childhood
2. 3–Hz spike wave in EEG
3. Postictal confusion
4. Precipitation by hyperventilation

Correct answer: 3. Postictal confusion

Explanation: "Absence seizures are characterized by sudden brief lapse of consciousness without loss of postural control. The seizure typically lasts for only seconds, consciousness returns as suddenly as it was lost and there is no postural confusion". - Harrison
Absence seizures: (Petitmal seizures)

Begin in childhood (4-8 years) or early adolescence and are the main seizure type in children with epilepsy.
There is sudden brief loss of consciousness, which lasts for a few seconds.
No loss of posture                                       
No breathing difficulty
No incontinence of urine or stool
May be accompanied by subtle bilateral motor signs such as
Rapid blinking of eyelids                        
Small amplitude clonic movements of the hands
Chewing movements
Absence seizures may occur in multiple every day (can occur hundreds of times per day)
The electrophysiological hallmark of typical absence seizure is a generalized symmetric 3 Hz spike and slow wave discharge that begins and ends suddenly on a normal EEG background.
Hyperventilation tends to provoke these electrographic discharge and even the seizure themselves and is routinely used when recording the EEG.
Hyperventilation often precipitates the attacks.
Drug of choice for absence seizures is Valproate (Previously it was ethosuxamide).